Components of neonatal resuscitation -
1. Maintenance of temprature
2. Maintenance of respiration
3. Maintenance of circulation
4. All

Correct answer: 4. All

Explanation: Ans. is All Resuscitation of newborn o The goal of pediatric resuscitation is to maintain adequate oxygenation and perfusion of blood throughout the body while steps are taken to stabilize the child and establish long term hemostasis. o The most common indication for neonatal resuscitation is asphyxia. o Second most common indication is extreme prematurity. o The components of neonatal resuscitation are TABC ? Maintenance of temprature B - Initiate breathing A- Establish an open airway C - Maintain circulation Maintenance of temprature o Newborn baby is susceptible for hypothermia. o Therefore maintenance of temprature is very important. o Temprature is maintained by - i) Radiant heat source ii) Drying the baby and removing wet linen. Establish an open airway o Neonate is placed on his back with neck slightly extended by elevating the shoulder 3/4 or 1 inch off the mattress with the help of a rolled blanket or towel. o Suction of mouth, nose and in some instance trachea. o If necessary, insert an endotracheal tube (ET) to ensure an open airway. Initiate breathing o Tactile stimulation can be given to initiate breathing. o When necessary bag and mask ventilation or ET tube can be used. Maintain circulation o This is done by chest compression and/or medications.